WHO recommended regime for the treatment of Brucella infection is ?
1. Streptomycin with doxycycline
2. Rifampicin with doxycycline
3. Rifampicin with ciprofloxacin
4. Streptomycin with erythromycin

Correct answer: 2. Rifampicin with doxycycline

Explanation: Ans. is 'b' i.e., Rifampin with doxycyclinelRef : Harrison 18n/e p. 1299,1672 & I4/e p. 1268).The gold standard for the treatment of brucellosis in adults is IM streptomycin (0.75-1 g daily for 14-21 days) together with doxycycline (100 mg twice daily for 6 weeks).In both clinical trials and observational studies, relapse follows such treatment in 5-10 % of cases.The usual alternative regimen (and the current World Health Organization recommendation) k rifampin (600-9{n mg/it) plus doxycycline (100 mg twice daily) for 6 weeks.